Recurrent periductal mastitis is
1. Mondors disease
2. Zuska's disease
3. Cooper's disease
4. Schimmelbusch's disease

Correct answer: 2. Zuska's disease

Explanation: Zuska's disease/ Zuska-Atkins disease, also called recurrent periductal mastitis, is a condition of recurrent retroareolar infections and abscesses. Smoking has been implicated as a risk factor for this condition. This syndrome is managed symptomatically by antibiotics coupled with incision and drainage as necessary.